Sturge weber syndrome is associated with -a) Port wine stainb) Cavernous hemangiomac) Lymphangiomad) Hemangiosarcama
1. ac
2. a
3. ad
4. ab

Correct answer: 4. ab

Explanation: Clinical feature of Sturge-weber's syndrome 

Unilateral facial nerves (port-wine stain) on upper face and eye lid.
Cavernous hemangioma
Seizures → Focal tonic-clonic and contralateral to the site of nerves.
Hemiparessis
Transient stroke like episodes
Visual defects
Buphthalmos and glaucoma → Same side.
Intellectual disability
Pheochromocytoma